True about paget's disease -a) Common in young girl 10-16 yr of ageb) ↑ALPc) Associated with hypercalcemia & hypophosphatemiad) More common in femalee) Associated with chondrosarcoma
1. ab
2. ad
3. be
4. ce

Correct answer: 3. be

Explanation: Paget's disease occurs after 40 years of age and is more common in males.
Alkaline phosphatase (ALP) is raised and calcium & phosphate are normal.
The usual malignancy complicating Paget's disease is osteosarcoma. There are some reports of cases of chondrosarcoma as a complication of Paget's disease.